ATP synthetase is a marker of -
1. Golgi apparatus
2. Mitochondria
3. Cytosol
4. Endoplasmic reticular

Correct answer: 2. Mitochondria

Explanation: Ans. is 'b' i.e., MitochondriaOrganelle or fractionMarkersMitochondriaInner membrane : - ATP synthase, Succinate dehydrogenaseIntermembrane space : - Creatine kinase, Adenyl kinase.Matrix : - Glutamate dehydrogenase. Pyruvate dehydrogenase, enzymes of TCA cycle & b-oxidation of fatty acidsPlasma membrane5'-ISucleotidase. Adenyl cyclase, Na+K+ ATPaseLysosomeAcid phosphataseGolgi ApparatusGalactosyl transferase, Golgi mannosidase II,Sialyl transferase, GIcNAc transferase IEndoplasmic reticulumGlucose-6-phosphatasePeroxisomeCatalase, Urate (uric acid) oxidaseCytosolLactate dehydrogenaseNucleusDNARibosomeHigh content of RNA